Child changes a rattle from one hand to another at the age of –
1. 3 months
2. 6 months
3. 9 months
4. 1 year

Correct answer: 2. 6 months

Explanation: A child can transfer objects from one hand to the other by 5-7 months.